Which of the following is included in the Levenson criteria for congenital cholesteatoma
1. White mass medial to normal tympanic membrane
2. Attico-antral perforation of the tympanic membrane
3. Definite history of otorrhoea
4. History of prior otologic procedures

Correct answer: 1. White mass medial to normal tympanic membrane

Explanation: levenson's criteria : Mass medial to the tympanic membrane. Normal tympanic membrane. No previous history of ear discharge, perforation or ear surgery. Ref: Internet sources.